About glycolysis true is
1. Occurs in mitochondria
2. Complete breakdown of glucose
3. Conversion of glucose to 3C units
4. 3 ATPs are used in anaerobic pathway

Correct answer: 3. Conversion of glucose to 3C units

Explanation: Glycolysis occurs in cytosol.
A 6 carbon glucose molecule is converted to 2 molecules of 3 carbon unit pyruvate or lactate. Complete breakdown of glucose to CO2 and H2O occurs finally in TCA cycle.
Both in aerobic as well as anaerobic glycolysis, 2 ATPs are consumed (not 3 ATPs).